Autocrine hormone among the following:
1. Prostaglandins
2. Thromboxane A2.
3. Both
4. None

Correct answer: 3. Both

Explanation: They both are autocrine or paracrine hormones.